Radiation is not used in:
1. CAT scan
2. NMR
3. Digital substraction imaging
4. Thyroid scan

Correct answer: 2. NMR

Explanation: Ans. NMR